35 year old female patient Radha having children aged 5 and 6 years has history of amenorrhea and galactorrhea. Blood examination reveals increased prolactin. CT of head is likely to reveal :
1. Pituitary adenoma
2. Craniopharyngioma
3. Sheehan's syndrome
4. Pinealoma

Correct answer: 1. Pituitary adenoma

Explanation: Ans. is a I.e. Pituitary adenoma Patient is presenting with amenorrhea; galactorrhea with raised prolactin levels. So lets rule out some of the options : For symptomatic microadenomas : Medical management by dopamine agonist viz Bromocriptine and Cabergoline (which increase dopamine levels thus decreasing PRL levels) are the mainstay of therapy. Other dopamine agents like pergolide, lisuride (both ergot derivatives) and quinagolide (non ergot derivative) can also be used. Macroadenomas : Long term Bromocriptine therapy with periodic serum prolactin measurements (6 monthly) and MRI (6 monthly). Surgery indications : * Tumors unresponsive to Bromocriptine Tumors causing persistent visual field loss.